Lyedig cells secrete ?
1. Testosterone
2. Inhibin
3. Mullerian inhibiting substance (MIS)
4. ABP

Correct answer: 1. Testosterone

Explanation: Ans. is 'a' i.e., TestosteroneThe hormone-secreting cells in the testes are the leydig cells and sertoli cells. Leydig cells have receptors for LH and secrete all the androgens, i.e., testosterone (major androgen), dihydrotestosterone (DHT), androstendione and dehydroepiandrosterone (DHEA). All of theme have 19 carbon atoms.Sertoli cells are under the control of FSH, i.e., have receptors for FSH. When stimulated by FSH, these cells secrete androgen binding protein (ABP), in hibin and MIS (mullerian inhibiting substance). Sertoli cells also contain aromatase; the enzyme that converts androgens to estrogens. Beside these hormonal function, junction between adjacent sertoli cells forms blood-testis barrier which does not allow harmful substances to enter the area where spermatogenesis is going on. Sertoli cells also have receptors for androgens (testosterone) which stimulates spermatogenesis.